The most common manifestation of congenital toxoplasmosis
1. Deafness
2. Chorioretinitis
3. Hepatosplenomegaly
4. Thrombocytopenia

Correct answer: 2. Chorioretinitis

Explanation: *Congenital toxoplasmosis is caused by toxoplasma gondi .The transmissibility increases but the risk of feral disease decreases with advancing pregnancy * The classical triad of toxoplasmosis includes intracranial calcification, hydrocephalus and chorioretinitis. Diagnosis is confirmed by demonstrating IgM in serum of the baby Image : Severe, active retinochoroiditis. Reference : Ghai essential pediatrics, 9 th edition, pgno :264